A fracture mandible should be immobilized for an
average of
1. 3 weeks
2. 6 weeks
3. 9 weeks
4. 12 weeks

Correct answer: 2. 6 weeks